The most frequent tooth to be impacted is-
1. Lower third molar
2. Lower canine
3. Upper third molar
4. Upper premolar

Correct answer: 1. Lower third molar

Explanation: Ans. is 'a' i.e., Lower third molar Impacted tooth Is the tooth that has failed to erupt completely or partially to its correct position in the dental arch and its eruption potential has been lost. Order of frequency - Mandibular 3rd molar (i.e. Lower 3rd molar) - Maxillary 3rd molar (Upper 3rd molar) - Maxillary canine